C-3 nephritic factor is associated with which of the following conditions?
1. MPGN Type 1
2. MPGN Type 2
3. Membranous nephropathy
4. Minimal change disease

Correct answer: 2. MPGN Type 2

Explanation: Dense-Deposit Disease (type II MPGN) Resulting in excessive activation of the alternative complement pathway. Normally, this C3 convertase is labile, but more than 70% of patients with dense-deposit disease have a circulating autoantibody termed C3 nephritic factor (C3NeF) that binds the alternative pathway C3 convertase and protects it from inactivation.